TTKG in hypokalemia is -
1. < 3-4
2. > 6-7
3. > 9-10
4. > 10-15

Correct answer: 1. < 3-4

Explanation: Answer- A. < 3-4A normal TTK in normal subjects on normal diet is 8-9Without other disease, hypokalemia should produce a TTKG <3